Glucose and Na+ are transported in GI tract using which mechanism-
1. Secondary active transport
2. Primary active transport
3. Facilitated diffusion
4. Simple diffusion

Correct answer: 1. Secondary active transport

Explanation: Ans. is 'a' i.e., Secondary active transport * Co-transport is a type of secondary active transport, e.g. glucose cotransport with Na+.Transport mechanismExamplesSimple diffusionMovement of fats, oxygen, CO2 through lipid portion of membraneFacilitated diffusionMovement of glucose and some amino-acidsOsmosisMovement of water into and out of the cellPrimary active transportIons K+, Na+, Ca++, H+Secondary active transportGlucose or amino-acid into the cell along Na+ (Symport or cotransport)Ca+2, H+ out of the cell against Na+ (Antiport or countertransport)